In Hybrid RNA-DNA, DNA is 5CTTAAG3. The sequence of RNA will be
1. 5CTTAAG3
2. 5CUUAAG3
3. 5GAATTC3
4. 5GAAUUC3

Correct answer: 2. 5CUUAAG3

Explanation: The RNA transcript with a 5' to 3' polarity is complementary to the template strand with its 3' to 5' polarity.
So, the complementary RNA of template DNA (5'CTTAAG3') will be 3'GAAUUC5' (i.e. 5'CUUAAG3').